Obesity is not a feature of :
1. Hypothyroidism
2. Adrenal insufficiency
3. Hypogonadism
4. Cushing's syndrome

Correct answer: 2. Adrenal insufficiency

Explanation: Answer is B (Adrenal insufficiency) :